Distance of medial rectus from limbus -
1. 4.5 mm
2. 5.5 mm
3. 7.0 mm
4. 10 mm

Correct answer: 2. 5.5 mm

Explanation: Rectus muscles originate from a common tendinous ring- the annulus of Zinn, which is attached to the apex of the orbit. Different distances from limbus are - >>medial rectus : 5.5 mm >>inferior rectus: 6.5mm >>lateral rectus : 6.9mm >>superior rectus:7.7mm Ref;A.K.Khurana; 6th edition; Page no:336